Which of the following is not used in methyl alcohol poisoning is -
1. Gastric lavage
2. Dialysis
3. Ethyl alcohol
4. High dose of vitamin B12

Correct answer: 4. High dose of vitamin B12

Explanation: Treatment for methyl alcohol poisoning includes : (i) Gastric lavage, (ii) Sodium bicarbonate, (iii) Ethanol (ethyl alcohol), (iv) Fomepizole (4 methylpyrazole), (v) Folic acid or folinic acid , and (vi) In severe cases hemodialysis.